Bilateral loss of tendon jerk and extensor plantar response is seen in
1. Amyotrophic lateral sclerosis
2. Freidrich's ataxia
3. Tabes dorsalis
4. Lead poisoning

Correct answer: 2. Freidrich's ataxia